Gluconeogenesis enzyme stimulated in starvation
1. Carboxylase
2. Pyruvate dehydrogenase
3. Pyruvate kinase
4. Glucokinase

Correct answer: 1. Carboxylase

Explanation: In starvation, there is excessive breakdown of fatty acids resulting in the formation of Acetyl CoA in the liver. They ensure the conversion of pyruvate to oxaloacetic acid. It acts as allosteric activator of the enzyme pyruvate carboxylase and inhibits pyruvate dehydrogenase of Glycolysis.